All the following are the beneficial effects of oral contraceptive pills, EXCEPT:
1. Decreased risk of ectopics
2. Prevention of atherogenesis
3. Decreased BP
4. Increase in bone density

Correct answer: 3. Decreased BP

Explanation: Estrogen causes increased hepatic synthesis of a variety of globulins. Increase in angiotensinogen production which seems to be dose related and its conversion by renin to angiotensin is suspected to be associated with 'pill induced hypertension'. So OCPs causes hypertension not decreased BP. Ref: Williams Gynecology, Page 249, Table 5-6